Perinatal Mortality rate includes:
1. Still borns and death within 7 days of birth
2. Neonatal deaths within 30 days of birth
3. Abortions and Death within 7 days of birth
4. Deaths between 7 and 28 days of birth

Correct answer: 1. Still borns and death within 7 days of birth

Explanation: Perinatal mortality rate has great significance in assessment of both obstetric and pediatric care before and around the time of birth. It includes both stillbirths and early neonatal deaths (neonatal deaths under one week of age). Perinatal mortality accounts for 90% of all fetal and infant mortality in the developed countries. With improved obstetric and perinatal technologies, the perinatal mortality has gradually declined in the developed countries. PERINATAL MORTALITY RATE (In nations with less established vital records of stillbirths) = LATE FETAL DEATHS (28 WEEKS GESTATION AND MORE) + EARLY NEONATAL DEATHS (FIRST WEEK) IN ONE YEAR _____________________________________________________ X 1000 LIVE BIRTHS IN THE SAME YEAR or PERINATAL MORTALITY RATE (FOR INTERNATIONAL COMPARISONS RECOMMENDED BY WHO) = LATE FETAL AND EARLY NEONATAL DEATHS WEIGHING OVER 1000 GMS AT BIRTH X 1000 TOTAL LIVE BIRTHS WEIGHING OVER 1000 GMS AT BIRTH Ref: Park's Textbook of Preventive and Social Medicine, 19th Edition, Pages 449-451